All are true about ICD 10 EXCEPT:
1. Revised every 10 years
2. Done by UNICEF
3. Accepted internationally and nationally
4. 21 major chapters

Correct answer: 2. Done by UNICEF

Explanation: ANSWER: (B) Done by UNICEFREF: Park 20TH edition page 46, http://wwwAvho.int/dassifications/icd/en/, style="color: rgba(20, 20, 20, 1); font-family: Times New Roman, Times, serif">. int/class ifications/icdlO/browse/ 2 01 G/enNote: however park has mentioned only 21 chapters, the WHO website have mentioned 22nd chapter as ''Codes for special purposes". For the purpose of this question we can consider 21 major chapters as option (B) is false statement.Question about the number of chapters was asked in December 2009, where we have mentioned all 22 chapters as per WHO website.INTERNATIONAL CLASSIFICATION OF DISEASE (ICD - 10)Produced by WHOBased upon:Part of body affectedEtiological agentKind of morbid change producedKind of disturbance producedRevised every 10 years10th revision came in January 1993It can be used in other fields like dentistry and ophthalmology as wTellThere are 22 chapters (21 in park)Consists of three volumes